Retinoblastoma is associated with:
1. Intracranial calcification
2. Intra orbital calcification
3. Optic canal widening
4. Hydrocephalus

Correct answer: 2. Intra orbital calcification

Explanation: Ans: b (Intra orbital calcification) Ref: Khurana, 4th ed,p.Intra orbital calcification is a feature of endophytic retinoblastoma. Presents as multiple growths projecting into the vitreous giving rise to cottage cheese appearance.Ophthalmoscopic appearance of retinoblastoma.Endophytic growth - Well circumscribed polypoid mass into vitreousCalcification present, haemorrhage + / -Exophytic growth - Grows outwards, separating retina from choroidsO/E exudative retinal detachment